All the following are present on the ipsilateral side in Lateral medullary syndrome except:
1. Diplopia
2. Impaired pain sensation in the body
3. Horner syndrome
4. Facial pain

Correct answer: 2. Impaired pain sensation in the body

Explanation: Ans: B (Impaired pain sensation in the body) Ref: Harrison's Textbook of Internal Medicine- 18th edExplanation:Impaired pain sensation in the body is seen in the contralateral sideLateral medullary syndrome (WALLENBERGSYNDROME)Due to occlusion of vertebral artery branches to lateral medulla.Post inferior cerebellar aSuperior cerebellar aMiddle cerebellar aInferior lateral medullary aClinical featuresOn the side of lesion:Pain numbness & impaired sensation over half the face Due to involvement of descending V nerve nucleusHORNER syndrome ->> Due to involvement of descending symphathetic chainAtaxiaNystagmus, diplopia, vertigo, nausea & vomiting- Due to involvement of vestibular nucleusDysphagia, hoarseness, palatal paralysis, vocalcord paralysis - Due to involvement of 9 &10th nervesLoss of taste Due to involvement of nucleus traetus solitariusNumbness of arm cuneate & gracilis nucleiOn opposite site of lesionImpaired pain & thermal sense over half of the body - Due to involvement of spino thalamic tract involvement